The feature of lower motor neuron lesion is:
1. Hypertonia
2. Hyperactive stretch reflex
3. Muscular atrophy
4. Abnormal plantar extensor reflex (Babinski's sign)

Correct answer: 3. Muscular atrophy

Explanation: Motor nerve involvement produces features of a lower motor neuron lesion. Symptoms and signs of sensory nerve involvement depend on the type of sensory nerve involved; small-ﬁbre neuropathies are often painful. Autonomic involvement may cause postural hypotension, disturbance of sweating, cardiac rhythm and gastrointestinal, bladder and sexual functions; isolated autonomic neuropathies are rare and more commonly complicate other neuropathies. Muscular atrophy is seen in LMN lesions.
Reference: : Davidson P R I N C I P L E S   and Practice O F M E D I C I N E 23rd edition page no  1138